Peripheral neuropathy in chronic kidney disease starts at :
1. Stage - 1
2. Stage - 2
3. Stage - 3
4. Stage - 4

Correct answer: 4. Stage - 4

Explanation: Anaemia starts at stage - 3.
P.neuropathy at stage - 4.